Which of the following are lymphomas is associated with HTLV-I virus infection?
1. Burkitt's lymphoma
2. B-cell lymphoma
3. Adult T-cell leukemia and lymphoma
4. Hodgkin's disease

Correct answer: 3. Adult T-cell leukemia and lymphoma

Explanation: Ans. is 'c' i.e., Adult T cell leukemia and lymphoma VirusAssociated diseaseHTLV -1 virusAdult T cell lymphoma / leukemia (ATL)Tropical spastic paraparesis (HTLV associated myelopathy or HAM)HTLV - II virus- T cell variant of hairy cell leukemia (not yet conclusively established)